New RNTCP software online to monitor TB control program is:-
1. NIKSHAY
2. NISCHAY
3. e-DOTS
4. NIRBHAI

Correct answer: 1. NIKSHAY

Explanation: - NI-KSHAY-(Ni=End, Kshay =TB) is the web enabled patient management system for TB control under the Revised National Tuberculosis Programme (RNTCP). It is developed and maintained by the Central TB Division (CTD), Ministry of Health and Family Welfare, Government of India, in collaboration with the National Informatics Centre (NIC), and the World Health Organization Country office for India. Nikshay is used by health functionaries at various levels across the country both in the public and private sector, to register cases under their care, order various types of tests from Labs across the country, record treatment details, monitor treatment adherence and to transfer cases between care providers. It also functions as the National TB Surveillance System and enables reporting of various surveillance data to the Government of India.